The most common differential diagnosis of hyper- thyrodism in a young female is -
1. Hysteria
2. Essential tremor
3. Anxiety neurosis
4. Parkinsonism

Correct answer: 3. Anxiety neurosis